All of the following are commonly used for estimation of gestational age in mid trimester EXCEPT:
1. Biparietal diameter
2. Crown Rump Length
3. Abdominal circumference of fetus
4. Femur length

Correct answer: 2. Crown Rump Length

Explanation: Ans. B i.e. Crown Rump Length CRL is most accurate with an error of 2.1 days in the first trimester BPD, FL, HC (head circumference) & AC is commonly used for dating thereafter.